Risk factor for preeclampsia:a) Chronic hypertensionb) Smokingc) Obesityd) Multiparitye) Placenta previa
1. a
2. bc
3. ac
4. b

Correct answer: 3. ac